What is Charles law?
1. PV = constant
2. V/T = constant
3. PV = n
4. None

Correct answer: 2. V/T = constant

Explanation: Charles law states that the volume occupied by a fixed mass of gas at a constant pressure is directly proportional to absolute temperature V/T = a constant , v - volume, T - absolute temperature in KelvinRef: Textbook of medical physiology by Guyton and Hall,2nd South Asia edition.Pg no.328